Bilateral past-pointing is due to defect in
1. Brainstem
2. Cerebellum
3. Vestibular system
4. Basal ganglia

Correct answer: 3. Vestibular system

Explanation: Bilateral past pointing is due to defect in vestibular system Past pointing, falling and the slow component of nystagmus are all in the same direction. if there is acute vestibular failure say on the right side, nystagmus is to the left side but past pointing and falling towards right Ref: PL Dhingra 6th edition of Ear, Nose and Throat; Pg no 42